Point source epidemic tends to -a) Continue over one incubation periodb) Produce multiple peaks in the epidemic curvec) Be explosived) Tail gradually
1. bd
2. ac
3. bcd
4. da

Correct answer: 2. ac